Delusion is disorder of
1. Thought
2. Perception
3. Insight
4. Behaviour

Correct answer: 1. Thought

Explanation: Ans. a (Thought). (Ref. Short, Textbook of Psychiatry by Niraj Ahuja, 5th/86)# Delusion is a disorder of belief.# Delusion is false unshakable belief, which is not keeping with patient's socio-cultural & educational background.# These are of 2 types:- Primary- Secondary# Primary delusions (Autochthonous delusions)- Arise de-novo & cannot be explained on the basis of other's experiences or perceptions.- Also known as autochthonous delusions, they are characteristic of schizophrenia & are seen in its early stages.# Secondary delusions- These are commonest delusions seen in clinical practice & are not diagnostic of schizophrenia.- They are seen in other psychoses too.- These can be explained as arising from other abnormal experiences.